Length of Umbilical cord is
1. 10-20 cm
2. 20-40 cm
3. 40-70 cm
4. 80-100 cm

Correct answer: 3. 40-70 cm

Explanation: Umbilical cord - Normal length- 40-70 cm long- Cord has three vessels : 1 vein(left) and 2 arteries - Length is influenced by amniotic fluid volume and fetal mobility.